Which of the following is not an agent used in chemical peeling?
1. Glycolic acid
2. Kojic acid
3. Phenol
4. Salicylic acid

Correct answer: 2. Kojic acid

Explanation: Kojic acid is a fungal metabolite known to inhibit tyrosinase is used as a depigmenting cream. All the others are peeling agents. Ref: Rook's textbook of dermatology, 8th edition, Pg 73.28.